Almost exclusively urinary bladder is lined by
1. Squamous epithelium
2. Columnar epithelium
3. Transitional epithelium
4. Cuboidal epithelium

Correct answer: 3. Transitional epithelium

Explanation: INDERBIR SINGH'S TEXTBOOK OF HUMAN HISTOLOGY-PAGE NO:320